Most important risk factor for neonatal respiratory, distress syndrome -
1. Diabetic mother
2. Asphyxia
3. Prematurity
4. Twin pregnancy

Correct answer: 3. Prematurity

Explanation: Ans. is 'c' i.e., Prematurity Hyaline membrane disease (HMD) or respiratory distress syndrome (RDS) o HMD always occurs in preterm babies often less than 34 weeks of gestation. o It is the commonest cause of respiratory distress in a preterm neonate. o Predisposing factors for HMD are -4 Prematurity (most important), asphyxia, acidosis, maternal diabetes, multiple birth, cesarean section delivery, cold stress and a history of previously affected infants. o Incidence is highest in preterm male and white infant. o Risk is reduced in pregnancies with pregnancy associated hypertension, maternal heroin use, prolonged rupture of membranes, and antenatal carticosteroid prophylaxis